What is the ratio of Kappa and lambda free light chains normally
1. 7:03
2. 6:04
3. 4:06
4. 3:07

Correct answer: 3. 4:06

Explanation: In a healthy individual, the total kappa tolambda ratio is roughly 2:1 in serum (measuring intact whole antibodies) or 1:1.5 if measuring free light chains, with a highly divergent ratio indicative of neoplasm. Ref Robbins 9/e p102